In optic atrophy, the optic disc appears pale, is index of-
1. Atrophy of the nerve fibre
2. Loss of vasculature
3. Gliosis
4. All of the above

Correct answer: 2. Loss of vasculature

Explanation: Disappearance of vascularity of the disc causes increase in pallor.